All are true regarding Hodgkin's lymphoma, except -
1. CNS is the commonest site of involvement
2. Characteristic cell is a Reed Sternberg cell (AI2K)
3. Mediastinal involvement is common in nodularsclerosis type
4. Eosinophils, plasma cells and neutrophils increase

Correct answer: 1. CNS is the commonest site of involvement

Explanation: Hodgkin lymphoma arise in a single lymph node or a chain of lymph nodes & typically spread in a stepwise fashion to anatomically contiguous nodes. Extranodal involvement is uncommon.

Reference : Robbins basic pathology 9th edition pg no 440